Duret hemorrhages are found in:
1. Brain
2. Heart
3. Kidney
4. Liver

Correct answer: 1. Brain

Explanation: Ans. Brain